Epiphora seen in all except:
1. Lefort 2
2. Zygomatic complex fracture.
3. Lefort 3
4. Nasal complex fracture.

Correct answer: 2. Zygomatic complex fracture.